Old age dependent population includes population above the age of:
1. 53 years
2. 55 years
3. 65 years
4. 68 years

Correct answer: 3. 65 years

Explanation: The population with age more than 65 years is considered to be dependent on the economically productive age group and is considered to be the old age dependent population. Ref: Park, 22nd edition pg: 444